In wilson disease patients with hepatic decompensation the disease severity is assessed using:
1. Nazer prognostic index
2. Ishak scoring system
3. Lille score
4. rockall score

Correct answer: 1. Nazer prognostic index

Explanation: In patients presenting with hepatic decompensation due to wilson disease, the disease severit is estimated using the Nazer prognostic index Patients with scores < 7 can be managed with medical therapy. Patients with scores > 9 should be immediately referred for liver transplantation ISHAK score is used to assess fibrosis in liver biopsy Lille score is used in alcoholic hepatitis to assess the treatment response with steroids Rockall score is used in the setting of nonvariceal GI bleed. Ref: Harrison, E-18, P-3190